All are true about Pseudomyxoma peritonei except ?
1. Common in male
2. Associated with ovary tumours
3. Yellow jelly collection of fluid
4. Appendiceal adeno carcinoma

Correct answer: 1. Common in male

Explanation: Ans. is 'a' i.e., Common in male